Which of the follow ing is a zoonotic disease -
1. Hydatid cyst
2. Malaria
3. Filariasis
4. Dengue fever

Correct answer: 1. Hydatid cyst

Explanation: Ans. is 'a' i.e., Hydatid cyst important zoonoses1. Bacterial - Anthrax, Brucellosis, Omithoses, Q-fever, Leptospirosis, TB, Plague, Tularemia, Salmonellosis.2 Viral - Cowpox, Monkeypox, Eastemequine, encephalitis, Ross river fever, Yellowr fever, Japanese encephalitis, Lassa fever. Rabies.Protozoal - Leishmaniasis, Toxoplasmosis, Trypanosomiasis, Babesiosis.Helminthic - Clonorchiasis, Fasciolopsis, Schistosomiasis, Echinococus (hydatid disease), Taeniasis, Trichinellosis.